All are seen in gestational diabetes except aEUR'
1. Previous macrosomic baby
2. Obesity
3. Malformations
4. Polyhydramnious

Correct answer: 3. Malformations

Explanation: Malformations Malformations don't occur in gestational diabetes mellitus - Malformations are associated with diabetes mellitus not gestational diabetes mellitus. Don't get confused with previous macrosomic baby, presence of previous macrosomic baby is considered a risk factor in gestational diabetes mellitus. Gestational diabetes Gestational diabetics are a heteragenous group of patients whose disease onset or first recognition occurs during the present pregnancy. The majority of these women have carbohydrate intolerance because of the diabetogenic effects of pregnancy and will have normal carbohydrate tolerance after delivery. However some of them may have type II or type 1 diabetes that became apparent under metabolic demands of pregnancy. - In the large majority of patients it is mild and can be adequately controlled with diet along but in minority it will require Glyburide or insulin.